Which of the following is not a common feature of Anorexia Nervosa-
1. Binge eating
2. Amennorhea
3. Self perception of being 'fat'
4. Under weight

Correct answer: 1. Binge eating

Explanation: presence of fear of fatness & absence of alternative causes of weight loss Ref - Harrison20th edition pg 98